Virus responsible for non immune hydrops foetalis is?
1. Cytomegalovirus
2. Herpes simplex virus
3. Hepatitis B virus
4. Parvovirus

Correct answer: 4. Parvovirus

Explanation: Parvovirus is the commonest infectious etiology for hydrops foetalis. The other viruses implicated include Cytomegalovirus, Hepatitis B virus, Herpes simplex virus, Rubella virus and Adenovirus. Ref : Dutta book of obstetrics 8th Ed